Beta-blockers are used in all of the following conditions except:-
1. Essential tremors
2. AV block
3. Angina pectoris
4. Migraine prophylaxis

Correct answer: 2. AV block

Explanation: Beta blockers are contra-indicated in AV block Beta-blockers are not given in AV blocks because they may precipitate and cause complete heart block USES OF BETA-BLOCKERS Cardiac (due to Beta 1 blockade) Extra cardiac (due to Beta 2 blockade) Hypertension PLAY : Performance anxiety , Pheochromocytoma (after a blockade) Classical angina The: Thyroid (Hyperthyroidism) Myocardial infarction G: Glaucoma A: Akathisia, Alcohol and Opioid withdrawal M: Migraine prophylaxis Supraventricular arrhythmias E: Essential tremors Chronic CHF Hypertrophic obstructive cardiomyopathy (DOC)